Reactionary hemorrhage occurs after extraction
because of
1. Broken roots
2. High blood pressure
3. Sharp interdental septum
4. Gingival laceration

Correct answer: 2. High blood pressure